Which of the following is the national level system that provides annual national as well as state-level reliable estimates of fertility and mortality?
1. Census
2. Adhoc Survey
3. Sample Registration System
4. Civil Registration System

Correct answer: 3. Sample Registration System

Explanation: Since civil registration is deficient in India, a Sample Registration System (SRS) was started in the mid-1960s to provide reliable estimates of birth and death rates at the national and state level. SRS now covers the entire country and is a major source of health information. Since the introduction of this system, more reliable information on birth and death rates, age-specific mortality and fertility rates, infant and adult mortality, etc. have been available